Which among the following is the area of greatest demineralization in enamel caries?
1. Translucent zone
2. Dark zone
3. Body of the lesion
4. Surface zone

Correct answer: 3. Body of the lesion

Explanation: This zone lies between the relatively unaffected surface layer and the dark zone. It is the area of greatest demineralization.